Parasympathetic stimulation of heart causes:
1. SA node decreases firing
2. Increased AV node excitability
3. Decreased ventricular contraction
4. Tachycardia

Correct answer: 1. SA node decreases firing